Transcranial USG is done using which of the following probe
1. linear
2. Curvilinear
3. Sectoral
4. Endocavitary

Correct answer: 3. Sectoral

Explanation: *Sectoral/phase arrayed probe has a smaller footprint and is used in Chest USG,Echo,and Transcranial USG. TVS